Criteria for diagnosis of gardenella vaginosis includes all except
1. pH <4.5
2. White discharge
3. Fishy odour when 10% KOH is added
4. Presence of clue cells

Correct answer: 1. pH <4.5

Explanation: Ans. is a, i.e. pH <4.5The clinical criteria for bacterial vaginosis is Amsel's criteria in which out of the following 4 any 3 criteria should be positive:a. Homogenous thin, grey discharge that thinly coats the vaginal wallsb. Clue cells (i.e. vaginal epithelial cells to which bacteria are adhered) should be present >20%c. pH of vaginal fluid >=4.5 (usually 4.7 to 5.7)d. A fishy odour of discharge after adding 10% KOH (called as Whiff test positive)